Clue cell is seen in -
1. Bacterial vaginosis
2. Candidial vaginosis
3. Chlamydiasis
4. Trichomonas

Correct answer: 1. Bacterial vaginosis

Explanation: Ans. is 'a'i.e., Bacterial vaginosis Clue cells are seen in bacterial vaginosis - Clue cells are vaginal epithelial cells coated with coccobacillary organisms which have granular appearance and indistinct borders, on a wet mount prepared by mixing vaginal secretions with normal saline in a ratio of -1:1. Amsel criteria for the diagnosis of bacterial vaginosis Includes any three of the following four clinical abnormalitiesObjective signs of increased white homogenous vaginal discharge.Vaginal discharge pH of >4.5Liberation of distinct fishy odour (attributable to volatile amines such as trim ethylamine) immediately after vaginal secretions are mixed with a 10% solution of KOHMicroscopic demonstration of clue cells.